The commonest cause of massive upper GIT bleeding is:
1. Peptic ulcer
2. Erosive gastritis
3. Gastric carcinoma
4. Varices

Correct answer: 1. Peptic ulcer